A mother and newborn are exposed to a pathogen while at the hospital for a routine checkup and breastfeeding clinic. This same pathogen had infected the mother about a year previously, and she had successfully recovered from the subsequent illness. Immunity may be innate or acquired. Which of the following best describes acquired immunity with respect to the newborn?
1. Complement cascade
2. Increase in C-reactive protein (CRP)
3. Inflammatory response
4. Maternal transfer of antibody

Correct answer: 4. Maternal transfer of antibody

Explanation: Maternal transfer of antibody (secretory IgA in the colostrum of breast milk), however, is passive but still confers specific immunity. It is termed passive acquired immunity. Natural immunity is nonspecific. The natural immune functions described are not specific for a certain antigen. For example, certain proteins such as C-reactive protein (CRP) are acute-phase reactants. While elevated CRP is seen in infection, it is not disease specific.